In an injured patient with hypovolemia intr-avenous fluid administerved is guided by:
1. Central venous pressure
2. Blood pressure
3. Urine output
4. All

Correct answer: 4. All

Explanation: A i.e. CVP; B i.e. BP; C i.e. U.O In hypovolemic patient, the adequacy of IV fluid replacement can be assessed by? - Blood pressureQ - Pulse rate -Urine out putQ Central venous pressureQ (CVP) Pulmonary capillary wedge pressureQ (PCWP)